Chronic thiazide therapy causes persistent hypercalcemia due to :
1. Renal tubular acidosis
2. Fanconi's syndrome
3. Hyper vitaminosis D
4. Hyper parathyroidism

Correct answer: 4. Hyper parathyroidism

Explanation: Ans. is 'd' Hyperparathyroidism Chronic thiazide therapy causes hypercalcemia because it enhances the parathyroid mediated increase of Ca reabsorption.Note: Thiazide diuretics cause hypercalcemia where as high ceiling diuretics cause hypocalcemia.Other important side effects of Thiazide diureticsHyperuricemia *Hypokalemia* (More than high ceiling diuretics)Dilutional hyponatremia*Hyperglycemia* and Hyperlipidemia*Magnesium depletion*